Ethambutol should be used very cautiously in child-hood tuberculosis due to which of its side effect?
1. Ocular toxicity
2. Renal damage
3. Hepatotoxicity
4. Neurotoxicity

Correct answer: 1. Ocular toxicity

Explanation: Ethambutol (E) Ethambutol is selectively tuberculostatic and clinically as active as S. Fast multiplying bacilli are more susceptible as are many atypical mycobacteria. Added to the triple drug regimen ofRHZ it has been found to hasten the rate of sputum conversion and to prevent development of resistance Patient acceptability of E is very good and side effects are few. Loss of visual acuity I colour vision. field defects due to optic neuritis is the most important dose and duration of therapy dependent toxicity. Because young children ma,be unable to report early visual impairment, it should not be used below 6 years of age. With early recognition and stoppage of therapy, visual toxicity is largely reversible. ESSENTIALS OF MEDICAL PHARMACOLOGY K.D.TRIPATHI SIXTH EDITION PAGE NO:742,743